Exotoxin acting on cementum is obtained from
1. Bacteria
2. Sulcular fluid
3. Calculus
4. Saliva

Correct answer: 1. Bacteria